Moderately hard water has hardness level -
1. < 1
2. 3-Jan
3. 6-Mar
4. >6

Correct answer: 2. 3-Jan

Explanation: Ans. is 'b' i.e., 1-3 Classification of hardness in waterClassificationLevel of hardness (mEq./litre)a) Soft waterb) Moderately hardc) Hard waterd) Very hard waterLess than 1 (< 50 mg/L)1 -3 (50- 150 mg/L)3 -6(150-300 mg/L)Over 6 (> 300 mg/L)